The cerebrospinal fluid
1. 10% of it drain to cerebral lymphatics
2. Formed by choroid plexus mostly
3. Mostly found in skull bones than in spine
4. Through aqueduct passes from lateral ventricle to 3rd ventricle

Correct answer: 2. Formed by choroid plexus mostly

Explanation: The cerebrospinal fluid is a modified tissue fluid. It is contained in the ventricular system of the brain and in the subarachnoid space around the brain and spinal cord. The bulk of cerebrospinal fluid is formed by the choroid plexuses of the lateral ventricles and lesser amounts by the choroid plexuses of third and fourth ventricles Ref BDC volume3,6th edition pg 331